On examination, a 34 weeks pregnant lady was found to be HBsAg. What is the management for neonate delivered by Hep B + patient?
1. Hepatitis B vaccine only
2. Immunoglobulin only
3. Hepatitis B vaccine + Immunoglobulin
4. Immunoglobulin followed by vaccine 6 month later

Correct answer: 3. Hepatitis B vaccine + Immunoglobulin

Explanation: Hepatitis B vaccine + Immunoglobulin should be given to a neonate born to mother who is HBsAg positive. The simultaneous administration of HBIG and hepatitis B vaccine is more efficacious than HBIG alone. HBIG does not interfere with the antibody response to the hepatitis B vaccine. This combined procedure is ideal both - for prophylaxis of persons accidentally exposed to blood known to contain hepatitis B virus, and - for prevention of the carrier state in the newborn babies of carrier mothers.